Mother of a child is worried about green stains on the recently erupted upper anterior teeth of her child. The stains are most probably due to:
1. Chromogenic bacteria
2. Neonatal line
3. Calculus
4. Material alba

Correct answer: 1. Chromogenic bacteria